During phagocytosis, the metabolic process called respiratory burst involves activation of
1. Oxidase
2. Hydrolase
3. Peroxidase
4. Dehydrogenase

Correct answer: 1. Oxidase